In non hemolytic jaundice, urobilinogen is seen in -
1. Obstructive jaundice
2. Hepatic fibrosis
3. Fatty liver
4. Infective hepatitis

Correct answer: 4. Infective hepatitis